About gallstones, false is
1. Intervention should be done if gallstones are present in the bile duct irrespective of the duct diameter
2. Operation should be done on most cases
3. Can be used due to parasitic infestation
4. Can lead to cholecystitis

Correct answer: 2. Operation should be done on most cases

Explanation: Operation is not done in most cases of gallstones It is done only in symptomatic cases Most consider that it is safe to observe patients with asymptomatic gallstones, with cholecystectomy reserved for patients who develop symptoms or complications Prophylactic cholecystectomy is may be considered for diabetic patients, those with congenital hemolytic anaemia and those patients who are undergoing bariatric surgery for morbid Obesity. Ref: Bailey and love 27th edition Pg no : 1200